A patient Rajnish having depressive disorder has taken 25 times the normal dose of amitriptyline. Which of the following is not likely to be observed in this patient ?
1. Coma and shock
2. Hot dry skin
3. Hypotension
4. Pinpoint pupil

Correct answer: 4. Pinpoint pupil